Shortest incubation period is seen in:
1. Hepatitis A
2. Hepatitis B
3. Rubella
4. Influenza

Correct answer: 4. Influenza

Explanation: Ans is 'd' i.e. Influenza Incubation period is the time elapsed between exposure to the pathogenic organism and when symptoms and signs are first apparent.Incubation period of some pathogens are:Varicella (Chickenpox) - usually 14 to 16 daysMeasles (Rubeola) - usually 10 days from exposure to onset of fever, and 14 days to appearance of rashRubella (German Measles) - 2 to 3 weeks; usually 18 daysMumps - 2 to 3 weeks; usually 18 daysInfluenza -18 to 72 hoursDiphtheria - 2 to 6 daysPertussis - usually 7 to 14 days, but not more than 3 weeksMeningiococcal Meningitis - usually 3 to 4 days, but may vary from 2 to 10 daysTuberculosis - the time from receipt of infection to the development of a positive tuberculin test ranges from 3 to 6 weeks, and thereafter, the development of disease depends upon the closeness of contact, extent of the disease and sputum positivity of the source case and host parasite relationship. Thus the incubation period of tuberculosis varies from weeks, months or years.Polio - usually 7 to 14 daysHepatitis A -15 to 45 days (usually 25 to 30 days)Hepatitis B - 45 to 180 daysHepatitis C - 40 to 120 daysCholera - from few hours up to 5 days, but commonly 1-2 daysTyphoid - usually 10-14 days, but it may be as short as 3 days or as long as 3 weeks depending on the dose of bacilli ingested.Amoebiasis - 2 to 4 weeksAscariasis - about 2 monthsFilariasis - 8 to 16 monthsRabies - highly variable from .4 days to many years but usually 3- 8 weeksYellow fever - 3 to 6 days (6 days recognized under International Health Regulations)